In Osteomalacia
1. Osteoid formation is defective
2. Mineralization of bone is defect
3. Both
4. None

Correct answer: 2. Mineralization of bone is defect

Explanation: Rickets / Osteomalacia Pathophysiology - Failure of calcification & mineralization of cartilage and osteoid tissue Clinical featuresRadiological featuresGeneralized muscle weakness, lethargy, irritability and listlessness Protuberant abdomen Large head, open fontanelles and craniotabesThickening of knees, ankle & wrists due to physeal overgrowth Rachitic rosary Harrison's groove Pectus carinatumShort stature & bowing of long bones with genu valgum, coxa vara, kyphoscoliosis Elongation of physis & hazy appearance of provisional zone of calcification Widened growth plate Cupping of metaphysis Splaying and flaring of epiphysis Bowing of diaphysis with thinning of cortices OsteopeniaLooser's zone Biconcave codfish vertebra Thoracolumbar kyphosis Trefoil & Champagne glass pelvis (Refer: Tachdijian'spaediatric Orthopedics, 5th edition, pg no: 1685-1696)